Which of the following is a side effect of vagotomy?
1. Delayed gastric emptying
2. Gastric atony
3. Diarrhea
4. All of the above

Correct answer: 4. All of the above

Explanation: Ans. (d) All of the abovePost Vagotomy Complications:1. Post vagotomy diarrhea:# About 30% or more of patients suffer from diarrhea after gastric surgery.# Most patients with post-vagotomy diarrhea have their symptoms resolve over time, treatment should be symptomatic.2. Post vagotomy gastric atony:# After vagotomy, gastric emptying is delayed. This is true for both truncal and selective vagotomies but not in the case of highly selective or parietal cell vagotomy.# With selective or truncal vagotomy, patients lose antral pump function and therefore have a reduction in their ability to empty solids3. Incomplete Vagal Transaction:# It predisposes the patient to the possible development of recurrent ulcer formation. The type of vagotomy performed influences the likelihood of this problem.# In highly selective vagotomy, incomplete vagotomy is rarely a problem because of the meticulous dissection required during this procedure.